True about saphenpus opening ?
1. Saphenous vein passes above this opening
2. Situated above and lateral to pubic tubercle
3. Covered by cribriform fascia
4. Opening in scarpa's fascia

Correct answer: 3. Covered by cribriform fascia

Explanation: Ans. is 'c' i.e., Covered by cribriform fascia Saphenous openingThis is an oval opening in the fascia lata.The centre of the opening is 4 cm below and 4 cm lateral to the pubic tubercle.It is about 2.5 cm long and 2 cm broad with its long axis directed downwards and laterally.The opening has a sharp crescentic lateral margin or falciform margin which lies in front of the femoral sheath.The medial well define margin of the opening lies at a deeper level.It is formed by the fascia overlying the pectineus. The fascia passes behind the femoral sheath.The saphenous opening is closed by the cribriform fascia formed by modification of superficial fascia which covers the opening.